Drug of choice for Acute Adrenal Crisis is:
1. Norepinephrine
2. Hydrocortisone
3. Dexamethasone
4. Fludrocortisone

Correct answer: 2. Hydrocortisone

Explanation: Answer is B (Hydrocortisone): The treatment of choice for acute adrenal insufficiency is Glucocorticoid Replacement Therapy. Hydrocortisone is the preferred steroid fir Glucocorticoid replacement therapy in acute adrenal crisis since it has both glucocorticoid and mineralocorticoid actions. In cases where the diagnosis of acute adrenal insufficiency is suspected (not confirmed) Dexamethasone is preferred as the initial steroid of choice because Dexamethasone does not compete with the cortisol assay. 'Glucocorticoid replacement should be initiated by bolus injection of 100 mg Hydrocortisone, followed by the administration of 100-200mg hydrocortisone over 24 hours either by continuous infusion or provided by several IV or IM Injections. Mineralocorticoid replacement can be initiated once the daily hydrocortisone dose has been reduced to less than 50 mg because at higher doses hydrocortisone provides sufficient stimulation of glucocorticoid receptors'